Maximum duration of time spent is in NREM stage
1. I
2. II
3. III
4. IV

Correct answer: 2. II

Explanation: Young adulthood, the distribution of sleep is as follows- NREM 75% stage 1 5% stage 2 45% stage 3 12% stage 4 13% REM 25% Ref- Synopsis of psychiatry, 11e, pg 535.